Young famale presents with myalgia fever, headache, diarrhoea and an erythematous rash which first appeared in the groin. Most likely diagnosis is-
1. Toxic epidermal necrolysis
2. Staph. scalded skin syndrome
3. Toxic shock syndrome
4. Epidermolysis bullosa

Correct answer: 3. Toxic shock syndrome